Difference between High mannose & complex glycoprotein
1. Core pentasacharide
2. Protein chain
3. Asparagine
4. Presence of G1C - NAc - Gal - NANA in complex glycoprotein

Correct answer: 4. Presence of G1C - NAc - Gal - NANA in complex glycoprotein

Explanation: D i.e. Presence of G1C - NAc - Gal - NANA in complex glycoprotein